Iron is most commonly absorbed from
1. Duodenum and upper jejunum
2. Lower jejunum
3. Stomach
4. Ileum

Correct answer: 1. Duodenum and upper jejunum

Explanation: Refer Katzung 11/e p 571 Maximum iron absorption occurs in duodenum and proximal jejunum Vitamin B12 is absorbed in distal ileum whereas folic acid is absorbed in proximal jejunum